Biopsy from a testicular mass following orchidectomy showed sheets of uniform cells containing abunndant clear cytoplasm with prominent nucleus.  Which of the following is the histopathological diagnosis?
1. Embryonal Carcinoma
2. Lymphoma
3. Seminoma
4. Teratoma

Correct answer: 3. Seminoma